A 0.5 litre blood loss in 30 minutes will lead to
1. Increase in HR, decrease in BP
2. Slight increase in HR, normal BP
3. Decrease in HR and BP
4. Prominent increase in HR

Correct answer: 2. Slight increase in HR, normal BP

Explanation: B i.e. Slight increase in H.R, normal BPBlood loss of upto 20% of blood volume are normally tolerated by redistribution of blood flow, mediated by vasospasmQ.500m1 blood accounts for about 10% of total blood volume (5 litres)Blood loss<15%15-30%Q30-40%>40%BPNo changeNo changeReducedMarkedly reducedHea rateSlight Increase100-120 (slight)>120, weak>120, threadyRespiratory rateNormalIncreased>2020-30